Primary defect in structure is known as:
1. Malformation
2. Deformation
3. Anomaly
4. Mutation

Correct answer: 1. Malformation

Explanation: Malformation